License to blood bank is given by:
1. Drugs controller General of India
2. Director General of Health Services
3. Director General, Indian Council of Medical Research
4. Director General Blood Bank Services

Correct answer: 1. Drugs controller General of India

Explanation: Drugs controller General of India GUIDELINES FOR OPENING AND LICENSING OF BLOOD BANK Blood Bank: - Blood bank means, a centre within an organisation or an institution for collection, grouping, cross-matching, storage, processing and distribution of Whole Human Blood or Human Blood Products from selected human donors. Licensing policy and legal framework for Blood Banks:? An adequate legal framework has been provided in Schedule X B of the Drugs and Cosmetics Act/Rules published in The Gazette of India: Extraordinary (Part II-Sec.3 (i) which stipulates mandatory testing of blood for Blood transmissible Diseases, including HIV. The rules provide for adequate testing procedures, quality control, standard qualifications and experience for blood bank personnel, maintenance of complete and accurate records, etc. The Drugs Controller General (India) is the Central Licence Approving Authority whereas the regulatory control remains under the dual authority of the State and the Central Government. The blood banks under the Act require a manufacturing licence.